The rate-limiting enzyme in Glycolysis is :
1. Phosphofructokinase
2. Glucose-6-dehydrogenase
3. Glucokinase
4. Pyruvate kinase

Correct answer: 1. Phosphofructokinase

Explanation: Ans:A i.e. Phosphofructokinase.Rate-Limiting Enzymes Rate-limiting enzyme of Glycolysis :Phosphofructokinase-1 (PFK-1)Rate-limiting enzyme of Gluconeogenesis :Fructose-1,6,biphosphataseRate-limiting enzyme of TCA cycle :Isocitrate dehydrogenaseRate-limiting enzyme of Glycogen Synthesis :Glycogen synthaseRate-limiting enzyme of Glycogenolysis :Glycogen phophorylase (phophorylase breaks phosphate bond, which means activated glycogen releases a lot of energy)Rate-limiting enzyme of HMP Shunt :Glucose-6-Phosphate dehydrogenase (bad to lose this in RBCs)Rate-limiting enzyme of de novo pyrimidine synthesis :Carbamoyl phosphate synthase II (CPS I is involved in urea cycle)Rate-limiting enzyme of de novo purine synthesis :Glutamine-PRPP amidotransferaseRate-limiting enzyme of Urea cycle :Carbamoyl phosphate synthetase I (CPS II is involved in pyrimidine synthesis)Rate-limiting enzyme of fatty acid synthesis :Acetyl-CoA carboxylase (ACC)Rate-limiting enzyme of fatty acid oxidation :Carnitine acyltransferase IRate-limiting enzyme of Ketogenesis :HMG-CoA synthaseRate-limiting enzyme of Cholesterol synthesis :HMG-CoA reductase